Alpha feto protein is increased in
1. Hepatoblastoma
2. Neuroblastoma
3. Seminoma
4. Renal cell carcinoma

Correct answer: 1. Hepatoblastoma

Explanation: Alpha fetoprotein AFP is a normal component of plasma protein of the fetus secreted by yolk sac and embryonal hepatocytes(fetal liver) which usually reduces after birth and persists as a low value level. Normal value is upto 10 ng/ml. It is an important tumour marker for hepatocellular carcinoma (100-1000 ng/ml). It also increases in non seminomatous testicular tumours, hepatoblastoma and some ovarian tumours(yolk sac tumours). It also increases in benign conditions (<100 ng/ml). It is useful in diagnosing omphalocele, ataxia telengiectasia, neural tube defects. Reference : page 594 SRB's manual of surgery 5th edition